Most common type of HPV associated with cervical cancer ?
1. 6, 11
2. 5, 8
3. 16, 18
4. 6, 8

Correct answer: 3. 16, 18

Explanation: Ans. is `c' i.e., 16, 18 HPV DNA of oncogenic types (High risk) in HPV-16, 18, 31, 33 and 45 - associated with cervical cancer HPV-6 and 11 (Low risk HPV) - associated with precursor lesions of cervical cancer (CIN) and Condyloma Acuminatum. In patients with epidermodysplasia verruciformis, Squamous cell cancer develop frequently at sites infected with specific HPV types, including 5 and 8. E6 and E7genes of HPV are responsible for carcinogenicity.